A double headed monster is known as a:
1. Diplopagus
2. Dicephalus
3. Craniopagus
4. Heteropagus

Correct answer: 2. Dicephalus

Explanation: Conjoined twins are always monozygotic and caused by incomplete division occurring after 13 days .They can be classified into thoracopagus,craniopagus,omphalopagus,pyopagus and ischiopagus depending upon the area of fusion.Prenatal diagnosis is important to councel patients regarding termination and to plan the type of delivery (reference pgno:185 sheila textbook of obstetrics 2 nd edition)